Congenital glaucoma present as –
1. Microopthalmos
2. Photophobia
3. Leucoria (white reflex)
4. Pain

Correct answer: 2. Photophobia

Explanation: The most common presentation of congenital glaucoma (buphthalmos) is photophobia, lacrimation, blepherospasm, and eye rubbing.